Merciful anosmia is seen in
1. Nasal polyp
2. Atrophic rhinitis
3. Rhinosporidiosis
4. Rhinoscleroma

Correct answer: 2. Atrophic rhinitis

Explanation: Merciful anosmia is seen in atrophic rhinitis(Ozaena). There is foul smell from the nose, but the patient himself is unaware of smell due to marked anosmia due to degenerative changes Ref: Dhingra 7e pg 173.